Indications for ECT are :
1. Paranoid schizophrenia
2. Depression with suicidal tendency
3. Neurotic depression
4. All

Correct answer: 2. Depression with suicidal tendency

Explanation: B i.e. Depression with sucidal tendency